Couinaud's segments are used to divide which organ –
1. Liver
2. Lung
3. Spleen
4. Kidney

Correct answer: 1. Liver

Explanation: Systems used to describe segmental anatomy of liver :- Couinaud - Bismuth (most common); Brisbane; Goldsmith & Woodburne.